Commonest site of the vermiform appendix is
1. Retrocaecal
2. Subcaecal
3. Pre-ilial
4. Post-ilial

Correct answer: 1. Retrocaecal